A child can laugh aloud at the age of:-
1. 2 months
2. 4 months
3. 6 months
4. 9 months

Correct answer: 2. 4 months

Explanation: A child laughs aloud at the age of 4 month. 1 month - alerts to sound 2 months - Vocalizes 3 months - Coos 4 months - Laughs aloud